DDT is a -
1. CNS poison
2. Stomach poison
3. Contact poison
4. None of the above

Correct answer: 3. Contact poison

Explanation: DDT is a synthetic contact poison. It acts on the nervous system of insects. It permeates into the insect body through the cuticle after dissolving in the waxy covering of feet, and cause paralysis of legs and wings, convulsions and finally death. It does not cause immediate death to take hours to kill. The residual action of DDT lasts for about 18 months. Other synthetic contact poisons are HCH, lindane, chlordane, Aldrin. Park's Textbook of Preventive and Social Medicine, 25th Edition, Pg 833